Primary prevention among the following is
1. Marriage counseling
2. Amniocentesis
3. Pap smear
4. Self breast examination

Correct answer: 1. Marriage counseling

Explanation: Marriage counseling is a type of primary prevention. Primary prevention: Action taken prior to the onset of the disease which removes the possibility that a disease will ever occur. Amniocentesis, Pap smear, and self-breast examination are screening tests to detect disease in the early phase which comes under secondary prevention - Early diagnosis and treatment. Marriage counseling includes the health promotion for the prevention of specific causal factors which help to decrease the incidence of disease. Ref: Park's Textbook of Preventive and Social Medicine; 24th edition - Page no.47, 865